Renin is released from the kidney in all except:
1. Sympathetic stimulation
2. Decrease in the concentration of sodium ions in the proximal tubules
3. Decrease in the concentration of sodium ions in the distal tubules
4. Fall in the BP

Correct answer: 2. Decrease in the concentration of sodium ions in the proximal tubules